Marker of Melanoma:
1. S100
2. Ck 20
3. MTLF
4. Vimentin

Correct answer: 1. S100

Explanation: (Rook’s Textbook of Dermatology 7thedition)
(Refer: Robbins Pathologic Basis of Disease, 8thedition, pg no: 1171-1175)